Alpha-fetoprotein in maternal serum and/or amniotic fluid is increased in all except
1. Fetal neural tube defects
2. Down's syndrome
3. Anencephaly
4. Encephalocele

Correct answer: 2. Down's syndrome

Explanation: In Down syndrome, the AFP is decreased in the mother's blood, presumably because the yolk sac and fetus are smaller than usual. Estriol is a hormone produced by the placenta, using ingredients made by the fetal liver and adrenal gland. Estriol is decreased in the Down syndrome pregnancy Ref Robbins 9/e pg 170